Major basic protein is an important constituent of which leucocyte:
1. Neutrophil
2. Eosinophil
3. Basophil
4. Lymphocyte

Correct answer: 2. Eosinophil